Dehydrogenase in HMP shunt act in oxidative phase to generate which of the following?
1. NADP+
2. NADPH
3. FAD+
4. FADH

Correct answer: 2. NADPH